The following statements regarding cromolyn sodium are true except:
1. It does not relax bronchial smooth muscles.
2. It can reduce the release of histamine from the mast cells.
3. It is approved for all ages.
4. It is ineffective in preventing exercise induced asthma.

Correct answer: 4. It is ineffective in preventing exercise induced asthma.

Explanation: D Cromolyn sodium is a mast cell stabilizer. It prevents release of histamine. It is devoid of bronchodilating capacity. It can reduce bronchoconstriction by challenging asthmatic patients with allergen, histamine or exercise to an important degree. Though nedocromil (a similar compound) is approved in patients above 12 years of age, cromolyn sodium is approved in all ages.